Most common parotid gland tumour is
1. Pleomorphic adenoma
2. Monomorphic adenoma
3. Primary lymphoma
4. Adeno carcinoma

Correct answer: 1. Pleomorphic adenoma

Explanation: (A) Pleomorphic adenoma # Parotid tumours> Most common is pleomorphic adenoma (80-90%)> Low-grade malignant tumours cannot be distinguished from benign neoplasms> High-grade tumours grow rapidly are usually painful and often have lymph node involvement of presentation> CT and MRI are useful> Fine-needle aspiration is better than open biopsy> Tumours should be excised, not enucleated